Which of the following is true regarding Vitamin D deficiency rickets:
1. Dose of Vitamin D for treatment of rickets is 500-1000 IU/day
2. X-ray of carpal bones only is diagnostic for rickets
3. Rachitic rosary appears only after 5 years age
4. Rickets is associated with increased chances of respiratory tract infections

Correct answer: 4. Rickets is associated with increased chances of respiratory tract infections

Explanation: Discussing about the options one by one, a. False Dose of Vitamin D for treatment of Rickets: There are 2 strategies for administration of vitamin D. 1) Stoss therapy: 3,00,000-6,00,000 IU of vitamin D are administered orally or intramuscularlyas 2-4 doses over 1 day.2) The alternative is daily, high-dose vitamin D 2,000-5,000 IU/day over 4-6 wk. b. False X-ray wrist or knee are usually done to diagnose Rickets c. False Rachitic rosary is nontender and can be seen even during infancy d. True Risk of pneumonia is elevated in children with vitamin D deficiency rickets.